Purpose of sentinel surveillance is -
1. To know total number of cases
2. Health planning
3. Prevention of disease
4. To know natural history of disease

Correct answer: 1. To know total number of cases

Explanation: Ans. is 'a' i.e., To know total number of cases o The sentinel data is extrapolated to the entire population to estimate the disease prevalence in the total population. So, it helps in estimating the total amount of disease in a community.